Ribot's law deals with
1. Dementia
2. Delirium
3. Retrograde amnesia
4. Anterograde amnesia

Correct answer: 3. Retrograde amnesia

Explanation: Ans.C. Retrograde amnesiaRibot's Law states that during incidents of retrograde amnesia recent memories are more likely to be lost than more remote memories.Retrograde amnesia often follows a principle known as Ribot law